1-125 labelled albumin is used for measurement of:
1. Plasma volume
2. Interstitial fluid volume
3. ICF
4. ECF

Correct answer: 1. Plasma volume

Explanation: Ans. (a) Plasma volumeRef: Ganong's Review of Medical Physiology 25th Ed; Page No-31Indicators used for Body fluids measurementCompartmentIndicator usedTotal body water 2H2 O (Deuterium oxide), 3H2 O (Tritium Oxide), AntipyrineExtracellular fluid 22Na, 125L-iothalamate, Thiosulfate, Inulin, SucroseIntracellular fluidCalculated as Total body water - Extracellular fluid volume.Plasma volume 125L-Albumin, Evans blue dye (T-1824)(Mn:PIE)Blood volume 51Cr-labeled red blood cells, or calculated as Blood volume = Plasma volume/ (1-Hematocrit)Interstitial fluidCalculated as Extracellular fluid volume - Plasma volume